Most common hallucination in schjizophrenia is:
1. Auditory
2. Visual
3. Olfactory
4. Tactile

Correct answer: 1. Auditory

Explanation: A. i.e. Auditory